The vaccine against Neisseria meningitidis contains
1. Whole bacteria
2. Capsular polysaccharide
3. Somatic 'O' antigen
4. Lipopolysaccharide - protein complex

Correct answer: 2. Capsular polysaccharide

Explanation: Monovalent and polyvalent vaccines containing capsular polysaccharide of Meningococci group A, C, W-135 and Y are available. Induces good immunity after a single dose in older children and adults Little value in children below the age of two years as polysaccharide antigen is T cell independent. Immunity is group specific. Reference: Textbook of Microbiology; Anathanarayan and panicker's; 10th edition; Page no: 233